Which of the following is NOT effective in controlling the hot flushes of menopause in a woman?
1. Hormone replacement therapy
2. Tibolone
3. Raloxifene
4. Isoflavones

Correct answer: 3. Raloxifene

Explanation: Ans is 'c' i.e., RaloxifeneHot Flushes : They are the 'hallmark' of menopause. Hot flushes are described as recurrent transient period of flushing, sweating and a sensation of heat often accompanied by palpitations. feelings of anxiety. and sometimes followed by chills.The entire episode lasts no more than 1-3 minutes and recurs 5-10 times / day (can occur upto 30 times a day). Short term estrogen therapy results in resolution of hot flushes.Hormone therapyEstrogen therapy (most effective)Combined estrogen and progestin therapyProgestin therapy (to be given in those women in whom estrogen is contraindicated)TiboloneNon hormonal prescription medicines :Not FDA approvedClonidineSelective serotonin reuptake inhibitor : paroxetine, fluoxetineSerotonin and nor epinephrine reuptake inhibitor : venlafaxineDopamine antagonist : VeraliprideGabapentinBellergal (combination of ergotamines, phenobarbital and belladona, approved for the treatment of migrain).)MeazapineTrazodoneNon prescription medicines :Isoflavones (100 mg/day)Soy products (60 g/d)Vitamin E (800 IU/day)Life style changes :Reducing body temperatureMaintaining a healthy weightSmoking cessationPaced respiration